Most common cause of Acute Aseptic Meningitis in children is
1. Arbovirus
2. Respiratory syncytial virus
3. Enterovirus
4. Herpes family

Correct answer: 3. Enterovirus

Explanation: (C) Enterovirus # VIRAL CAUSES INCLUDE THE FOLLOWING: Enteroviruses - coxsackievirus, echovirus, poliovirus. Herpes simplex virus (HSV) types 1 and 2 (HSV-1, HSV-2) Varicella-zoster virus. Arboviruses, Epstein-Barr virus, HIV, Influenza virus types A and B, Mumps virus.> Many different viruses can cause meningitis.> About 90% of cases of viral meningitis are caused by members of a group of viruses known as Enteroviruses, such as Coxsacki-eviruses and Echoviruses.> These viruses are more common during summer and fall months.>Herpesviruses and the mumps virus can also cause viral meningitis.